Aflatoxin is secreted by?
1. Fusarium
2. Rhizopus
3. Candida
4. Aspergillus

Correct answer: 4. Aspergillus

Explanation: ANSWER: (D) AspergillusREF: Jawett's 24th edition Section V. Mycology > Chapter 45. Medical Mycology"One of the most potent mycotoxin is aflatoxin, which is elaborated by Aspergillus flavus and related molds and is a frequent contaminant of peanuts, corn, grains, and other foods"